Neck nodes are commonly seen with occult primary in -
1. Nasopharyngeal carcinoma
2. Papillary carcinoma of thyroid
3. Medullary carcinoma of thyroid
4. Bronchogenic carcinoma

Correct answer: 1. Nasopharyngeal carcinoma